In the grading of trachoma, trachomatous inflammation - follicular is defined as the presence of -
1. 5 or more follicles in the lower tarsal conjunctiva
2. 3 or more follicles in the lower tarsal conjunctiva
3. 5 or more follicles in the upper tarsal conjunctiva
4. 3 or more follicles in the upper tarsal conjunctiva

Correct answer: 3. 5 or more follicles in the upper tarsal conjunctiva

Explanation: Five or more follicles in the upper tarsal conjunctiva . Reference:National Health Programs of India by Dr.J.Kishore,7th edition,pg no:368.